The cells, which are responsible for removal of bone matrix in bone resorption, are
1. Osteoblast
2. Fibrocytes
3. Polymorphs
4. Osteoclasts

Correct answer: 4. Osteoclasts